“3 BY 5 target” approach refers to
1. Providing 3 ART drugs to all patients by 2005
2. Providing ART to 3 million people by 2005
3. Providing 3 antiretroviral drugs to all patients
4. All of above

Correct answer: 2. Providing ART to 3 million people by 2005

Explanation: 3 by 5 Target: Announced by WHO and UNAIDS on December 1, 2003
– Interim target: Providing anti-retroviral treatment (ART) to ‘3 million people living with HIV/AIDS (PLHA)’, in developing countries (low & middle income), by end of 2005
– Ultimate goal: Universal access to ART to anyone who needs it
– Focus areas: (Five pillars)
1. Simplified standard tools to deliver ART
2. A new service to ensure effective, reliable supply of medicines and diagnostics
3. Dissemination and application of new knowledge and successful strategy
4. Urgent, sustained support to countries
5. Global leadership, backed by strong partnership.